The type of joint present between ear ossicles is
1. Primary cartilaginous
2. Secondary cartilaginous
3. Synovial
4. Fibrous

Correct answer: 3. Synovial

Explanation: JOINTS OF EAR OSSICLES The incudomalleolar joint is a saddle joint. The incudostapedial joint is a ball and socket joint. Both of them are type of synovial joints. Ref BDC volume 3,sixth edition pg 280